The best dressing for open wounds is
1. Skin
2. Amnion
3. Opsite
4. Tulle grass

Correct answer: 1. Skin